Intermediate host for hydatid disease-
1. Man
2. Dog
3. Cat
4. Foxes

Correct answer: 1. Man

Explanation: Hydatid disease is caused by Echinococcus granulosus. The worm completes its life cycle in two hosts - Definitive Host : Dog Intermediate Host : Sheep & Cattle. Man acts as an accidental intermediate host (Dead end). The larval stage of parasite is passed in intermediate hosts including man, giving rise to hydatid cyst.